Tear drop appearance seen in
1. Incised wound by single edged weapon
2. Incised wound by double edged weapon
3. Stab wound by single edged waeapon
4. Stab wound by double edged weapon

Correct answer: 3. Stab wound by single edged waeapon

Explanation: Stab wound by single edged weapon wedge shaped with one end of the wound is sharply cut and the other end is split or rounded or blunt. The sharp end is due to the contact with the sharp edge of the weapon and split end is due to contact with the blunt edge of the weapon. There may be gaping of both margins and this may give the wound a tear drop appearance ref: FORENSIC MEDICINE AND TOXICOLOGY Dr PC IGNATIUS THIRD EDITION PAGE 127